Phlyctenular conjunctivitis false is –
1. The most common cause is tuberculosis
2. The lesions are typically found near the limbus
3. Predominantly affects children
4. Is a type IV hypersensitivity reaction

Correct answer: 1. The most common cause is tuberculosis

Explanation: Phlyctenular conjunctivitis is a type IV hypersensitivity reaction to endogenous allergen.
Previously Tuberculous proteins were considered as the most common cause. Staphylococcal proteins are now thought to account for most of the cases.
Peak age group is 3 -15 years with slight female preponderance.
Phlyctens are seen on the bulbar conjunctiva, generally at or near the limbus.